The role played by Major Histocompatibility Complex (MHC)-1 and -2 is to:
1. Transduce the signal to T-cell following antigen recognition
2. Mediate immunogenic class switching
3. Present antigens for recognition by T-cell antigen receptors
4. Enhance secretion of cytokines

Correct answer: 3. Present antigens for recognition by T-cell antigen receptors

Explanation: Ans. c. Present antigens for recognition by T-cell antigen receptors